All of the following are true about mania except -
1. Elevated mood
2. Flight of ideas
3. Delusions of grandeur
4. Word salad

Correct answer: 4. Word salad

Explanation: Word salad is seen in schizophrenia.